Retinoblastoma gene is located on:
1. Chromosome 5
2. Chromosome 8
3. Chromosome 13
4. Chromosome 16

Correct answer: 3. Chromosome 13

Explanation: c. Chromosome 13(Ref: Nelson's 20/e p 2476-2478, Ghai 8/e 614-615)Retinoblastoma (RB) geneIt is located on chr 13q14; its mutation or deletion is responsible for hereditary form of RetinoblastomaIt encodes the retinoblastoma protein, a tumor suppressor protein that controls cell-cycle phase transition and has roles in apoptosis and cell differentiation